Secondary deviation of the eye is an example of the following law
1. Herring's
2. Listing's
3. Sherrington's
4. Donder's

Correct answer: 1. Herring's

Explanation: Secondary deviation: It is deviation of the normal eye seen under cover, when the patient is made to fix with the squinting eye. It is greater than the primary deviation. This is due to the fact that the strong impulse of innervation required to enable the eye with paralysed muscle to fix is also transmitted to the yoke muscle of the sound eye resulting in a greater amount of deviation. This is based on Hering's law of equal innervation of yoke muscles. Ref:- A K KHURANA; pg num:-331